Which of the following statement about Recommended Dietary Allowances (RDA) is TRUE?
1. RDA is statistically defined as two standard deviations (SD) above Estimated Average Requirement (EAR)
2. RDA is defined as being equal to the Estimated Average Requirement (EAR)
3. RDA is defined as being equal to Adequate Intake CAT)
4. RDA is defined as the recommended minimum requirement

Correct answer: 1. RDA is statistically defined as two standard deviations (SD) above Estimated Average Requirement (EAR)

Explanation: EAR forms the basis for setting the RDA. RDA is set at 2 standard deviations above estimated average requirement. Estimated average requirement (EAR) is the daily intake value that is estimated to meet the requirement in 50% of individuals in a life stage or gender group. Recommended daily allowance (RDA) is the average daily dietary intake level that is sufficient to meet the nutrient requirement in nearly 97-98% healthy individual in a specific life stage and gender group. Ref: Harrison's Principle of Internal Medicine, 18th Edition, Chapter 73 ; Dietary Reference Intakes: For Calcium, Phosphorus, Magnesium, Vitamin D By Institute of Medicine (U.S.). Standing Committee on The Scientific Evaluation of Dietary Reference Intakes, Page 23